Ovulation occurs after the extrusion of:
1. Primary oocyte
2. Female pronucleus
3. lstpolar body
4. 2nd polar body

Correct answer: 3. lstpolar body

Explanation: Ans. (c) 1st polar bodyRef.: D.C. Dutta 8th ed. / 21-22, 8th ed. / 21, 7th ed./17,19